Zero order kinetics is followed by all of the following drugs EXCEPT:
1. Phenytoin
2. Barbiturates
3. Alcohol
4. Theophylline

Correct answer: 2. Barbiturates